Heat stiffening in muscles occurs above temperature (degC) -
1. 30
2. 40
3. 50
4. 60

Correct answer: 4. 60

Explanation: Heat stiffening of muscles occur in temperature above 60 degree celsius due to denaturation and coagulation of muscle proteins. It simulates rigor mortis. This remains till decomposition starts and there was no rigor mortis. Dr. Narayana Reddys Synopsis of Forensic Medicine & Toxicology 27 th edition pg. 80.